Which of the following tests is not used in the diagnosis of insulinoma -
1. Fasting blood glucose
2. Xylose test
3. C- peptide levels
4. Insulin/Glucose Ratio

Correct answer: 2. Xylose test

Explanation: Ref Harrison 20th edition pg 567